Telomerase is
1. DNA dependent RNA polymerase
2. RNA dependent DNA polymerase
3. RNA dependent RNA polymerase
4. DNA dependent DNA polymerase

Correct answer: 2. RNA dependent DNA polymerase

Explanation: The replication always takes place from 5' to 3' direction in the new strand.The DNA polymerase enzyme is not able to synthesize the new strand at the 5 ' end of the ne2 strand. This end piece of the chromosome is called telomere.Therefore another enzyme , telomere terminal transferase or telomerase takes up this job of replication of the end piece of chromosomes.. The shortening of telomere end is prevented by an enzyme telomerase.It contains an RNA component, which provides the template for telomeric repeat synthesis. REFERENCE DM.VASUDEVAN.TEXTBOOK SEVENTH EDITION ; PAGE NO : 585.